Which of the following is true regarding Naegleria fowleri is commonly acquired by?
1. Salt water living
2. Fresh water living
3. Sulfur springs
4. Swimming pool

Correct answer: 2. Fresh water living

Explanation: Naegleria fowleri (brain eating amoeba) infection is commonly acquired by swimming in fresh water pond.Infective form- trophozoitesThey can penetrate the nasal mucosa and cribriform plate to produce a purulent meningitis and encephalitis that are usually rapidly fatal.